All of the following are features of apoptosis, except
1. Inflammation is present
2. Chromosomal breakage
3. Clumping of chromatin
4. Cell shrinkage

Correct answer: 1. Inflammation is present

Explanation: In apoptosis chromosomal condensation, clumping, fragmentation, cell shrinkage, followed by cytoplasmic budding and phagocytosis of extruded apoptotic bodies occur.Since any products are not released directly rather than in apoptotic bodies an inflammatory reaction is not initiated in apoptosis. so option 1 is the answer.Robbins basic pathology 6th edition page.no:18